A 55 years old male had retrosternal discomfort unrelated to physical exertion. Pain gets worse after lying down there is partial relief with antacids. The most likely diagnosis is:
1. Ischemic heart disease
2. Carcinoma esophagus
3. Achalasia cardia
4. Hiatus hernia

Correct answer: 4. Hiatus hernia

Explanation: From the given question Unrelated to physical exertion - Not ischemic heart disease Partial relief with antacids - Not Ca. Esophagus Achalasia cardia - Mostly present with dysphagia to liquids . Retrosternal discomfort -->REFLUX Pain | after lying down SLIDING HIATUS HERNIA Dx - Barium Swallow Tx - Laparoscopic hiatus hernia repair(Via trans abdominal route)